Which plasma protein is necessary for adhesion of platelets to subendothelial fibres?
1. Glycoprotein IIb
2. Von Willebrand factor
3. Platelet factor 3
4. Factor X

Correct answer: 2. Von Willebrand factor

Explanation: b. Von Willebrand factor(Ref: Nelson's 20/e p 2386-2390, Ghai 8/e p 349)Von Willebrand factor present in plasma and expressed on endothelium after tissue injury is necessary for platelet adhesion with the help of Gp Ib/IX on platelets.